Imatinib acts on:
1. NMYC
2. Tyrosine kinase
3. PDGF
4. VEGF

Correct answer: 2. Tyrosine kinase

Explanation: Tyrosine kinase